The stomach wash for phenol poisoning is done with?
1. 10% glycerin
2. KMnO4
3. Alkaline water solution
4. Saline water

Correct answer: 1. 10% glycerin

Explanation: Ans. a (10% glycerin). (Ref. Parikh, FMT, 5th/pg.l68)PHENOL OR CARBOLIC ACID POISONING# Corrosive poison# Hardening of the tissues occurs with it.# Thorough gastric lavage with 10% glycerine in water + MgS04 till phenolic odour emited.# Then, about 2 ounces of liquid may be left in stomach.